Interstitial pulmonary fibrosis is associated with the following except -
1. Sarcoidosis
2. Asbestosis
3. Carcinoid lung
4. Radiation exposure

Correct answer: 3. Carcinoid lung